Five days self-limiting anal pain is due to:
1. Fissure
2. External thrombosed hemorrhoid
3. Fistula
4. Internal hemorrhoid

Correct answer: 2. External thrombosed hemorrhoid

Explanation: Ans. (b) External thrombosed hemorrhoidRef: Bailey and Love 27th Edition, Page 1360* Thrombosed external hemorrhoids is known as perineal hematoma* Sudden onset of Olive-shaped painful blue subcutaneous swelling at anal margin* If patient comes to you in 48 hours you can evacuate the hematoma or clot under local anesthesia* Untreated cases usually resolves in 5 days by forming fibrosis in majority.